The drug that is not useful in congestive heart failure is
1. Adrenaline
2. Digoxin
3. Hydrochiorothiazide
4. Enalapril

Correct answer: 1. Adrenaline

Explanation: Adrenaline causes vasoconstriction of coronary vessels and hence not used in heart failure. Digoxin cause an increase in accumulation of intracellular Calcium accumulation and is useful in heart failure. Thiazide decreases preload. enalapril or ACE inhibitors are useful to prevent remodeling of heart in heart failure (REF. Essentials of medical pharmacology KD TRIPATHI 6 Edition)